Normal pH of blood is:
1. 7.3
2. 7.2
3. 7.7
4. 7.4

Correct answer: 4. 7.4

Explanation: Ans. D: 7.40Normal pH is 7.35-7.45.There are a series of buffers which help the plasma resist any change in pH. Some of them include: the hemoglobin in the red blood cells, other plasma proteins, the bicarbonate buffer and the phosphate buffer.